International lead poisoning prevention week is celebrated in:
1. January
2. March
3. October
4. December

Correct answer: 3. October

Explanation: "Eliminate lead in paint" is this year's theme for the International Lead Poisoning Prevention Awareness Campaign Week of Action on 20-26 October. During the campaign week, WHO and UNEP will encourage and facilitate efforts globally to eliminate lead paint and to: raise awareness about lead poisoning; highlight countries and partners' efforts to prevent childhood lead poisoning; and urge further action to eliminate lead paint. Ref: